Afferent of cremasteric reflex is :
1. Genitofemoral nerve
2. Ilioinguinal nerve
3. Iliohypogastric nerve
4. Iliofemoral nerve

Correct answer: 1. Genitofemoral nerve

Explanation: Ans. is 'a' Cremasteric reflex: Is elicited by stroking the upper part of skin on the medial aspect of thigh. Response is elevation of testis d/t contraction of cremasteric muscle. Afferent: Femoral branch of genitofemoral nerve Efferent: Genital br. of genitofemoral nerve supplying the cremasteric muscle. Root value : L1 L2 (some books say L3 also) Also Remember afferent and efferent of CORNEAL REFLEX*: Afferent - V (Ophthalmic division of trigeminal nerve)* Efferent - VII C.N. (Facial)* GAG REFLEX*: Afferent - Glossopharyngeal nerve* Efferent - Vagus*